Which of the following is the Nysten's law
1. Cadaveric rigidity does not appear in hot humid conditions
2. Cadaveric rigidity appears faster in older and the young than in middle age
3. Cadaveric rigidity occurs in men earlier than in woman
4. Cadaveric rigidity affects successively the masticatory muscles, those of the face and the neck, those of the trunk and arms and finally those of lower limbs rruk

Correct answer: 4. Cadaveric rigidity affects successively the masticatory muscles, those of the face and the neck, those of the trunk and arms and finally those of lower limbs rruk

Explanation: In rigor mortis, all muscles of body, both voluntary and involuntary are involved. Externally it first appears in the eye lids, then lower jaw, muscles of the face, neck upper limbs and lastly lower limbs. This descending pattern or proximodistal progression is called Nysten's law. Ref: FORENSIC MEDICINE AND TOXICOLOGY Dr PC IGNATIUS THIRD EDITION PAGE 26